Syncytiotrophoblasts and cytotrophoblasts differentiate on what day after the fertilization?
1. 6 days
2. 8 days
3. 10 days
4. 12 days

Correct answer: 2. 8 days

Explanation: 8 days